MC joint involved in diabetes is?
1. Ankle
2. Knee
3. Shoulder
4. Foot

Correct answer: 4. Foot

Explanation: Most common joint involved in diabetes is Foot Joint Charcot's joint - Painless, Paralyzed joint Neuropathy Delayed wound repair Angiopathy Non-heading ulcar on soul of test Ankle Joint - in tables dorsalis Knee - OA Shoulder- Syringomyelia - Dilation of central canal of Spinal cord. MC Cervical spine involved